All are risk factors for developing bronchospasm during anesthesia except-
1. Perioperative respiratory infection
2. Endotracheal intubation
3. Presence of COPD
4. Old age

Correct answer: 4. Old age

Explanation: Risk factors for developing bronchospasm during anesthesia include young age (< 10 years), perioperative respiratory infection , Endotracheal Tube and COPD. use of supraglottic devise reduces risk of bronchospasm.